Cholestatoma is usually present at:
1. Anteroinferior quadrant of tympanic membrane
2. Posteroinferior quadrant of tympanic membrane
3. Attic region
4. Cental part

Correct answer: 3. Attic region

Explanation: Atticoantral type or marginal or unsafe otitis media involves posterosuperior part of middle ear cleft (attic, antrum, posterior tympanum and mastoid) and is associated with cholesteatoma.